In a patient with wide-complex tachycardia, the presence of all of the following in the ECG indicates ven tricular tachycardia except -
1. Atrioventricular dissociation
2. Fusion beats
3. Typical right bundle branch block
4. Capture beats

Correct answer: 3. Typical right bundle branch block